Localized necrosis of pulp from cutting burs is
1. Due to heat
2. Due to vibration
3. Due to pressure
4. All of the above

Correct answer: 1. Due to heat